Unequivocal evidence of heart disease in pregnancy is all except :
1. Systolic murmur
2. Diastolic murmur
3. Diastolic thrill and murmur
4. Systolic thrill and murmur

Correct answer: 1. Systolic murmur

Explanation: Systolic murmur